Which lower limb artery is difficult to palpate?
1. Popliteal artery
2. Anterior tibial artery
3. Posterior tibial artery
4. Dorsalis pedis artery

Correct answer: 1. Popliteal artery

Explanation: POPLITEAL ARTERY:- Continuation of femoral artery.Begins at adductor hiatus. Runs downwards and laterally to reach lower border of popliteus.Terminates by dividing into anterior and posterior tibial arteries. Relations:-1. Anteriorly- popliteal surface of femur, back of knee joint, fascia covering popliteus.2. Posterior - tibial nerve.3. Lateral- biceps femoris, plantaris, lateral head of gastrocnemius and lateral condyle of femur.4. Medial-semimembranosus, medial condyle of femur. Branches:-1. Muscular- adductor Magnus, hamstrings, gastrocnemius, soleus, plantaris.2. Cutaneous3. Genicular- superior, middle and inferior. Middle -pierces oblique popliteal ligament. Supplies cruciate ligament and synovial membrane of knee joint. BP of lower limb measured from popliteal artery.In coarctation of aorta, popliteal pressure < brachial pressure.Popliteal artery is fixed to capsule of knee joint by a fibrous band present just above the femoral condyles. This may be a source of continuous traction or stretching in the artery, causing primary thrombosis of artery.More prone to aneurysm. Dorsalis pedis- can be easily at proximal end of first intermetatarsal space. i.e .between the tendons of EHL and first tendon of EDL. Anterior tibial artery- palpable at midway between two malleolus Posterior tibial artery- pulsation felt at 2 cm behind and below medial malleolus. {Reference: BDC 6E chapter 6,pg no.78,166}